Drug used for Urinary incontinence in Neurogenic Bladder acts on which cholinergic receptors:
1. M1
2. M2
3. M3
4. M4

Correct answer: 3. M3

Explanation: Ans: C. M3Cholinergic system stimulates detrusor and relaxes the trigone) - Increased micturation (M3 receptor).Selective M3 blockers:Oxybutynin, Darifenacin, Solifenacin, Tolterodine):Blocks M3 receptors in urinary bladder - Used in urinary incontinence.